In Wegeners glomerulonephritis characteristic feature seen in
1. Granuloma in the vessel wall
2. Focal necrotizing glomerulonephritis
3. Nodular glomerulosclerosis
4. Interstitial granuloma

Correct answer: 2. Focal necrotizing glomerulonephritis

Explanation: Focal necrotizing glomerulonephritis [Ref. Harrison 17th/e p. 2121; Bobbin's 8th/e p. 5161 Wegener's granulomatosis is a distinct clinicopathologic entity characterized by granulomatous vasculitis of the upper and lower respiratory tracts together with glomerulonephritis. The histopathological hallmark of Wegener's granulomatosis is necrotizing vasculitis of small arteries and veins together with granuloma formation which may be either intravascular or extravascular. An important point to note, Though it is called granulomatous vasculitis:? - Granulomas in Wegener's' granulomatosis are seen only in lungs or respiratory tract. Granuloma formation is rarely seen in other organs. Other organs, only demonstrate necrotizing vasculitis. So Wegener's granulomatosis can also be defined as Granulomatous vasculitis of the upper and lower respiratory tracts together with glomerulonephritis. Bobbin's defines Wegener's granulomatosis as "necrotizing vasculitis" (not granulomatous vasculitis). According to Robbin's Wegener's granulomatosis is a necrotizing vasculitis characterized by a triad of :? - Acute necrotizing granuloma of upper respiratory tract (ear, nose, sinuses, throat) or the lower respiratory tract. - Necrotizing or granulomatous vasculitis affecting small to medium sized vessels (e.g. capillaries, venules, arteriole and arteria) most prominent in the lungs and upper airways but affecting other sites as well. - Renal disease in the .form of focal necrotizing often crescenteric glomerulonephritis. Glomerulonephritis in Wegener's granulomatosis Wegener's glomerulonephritis is characterized by "focal and segmental necrotizing glomerulonephritis". That may evolve into a rapidly progressive crescenteric glomerulonephritis. Granuloma. formation is rarely seen in Wegener's glomerulonephritis.